Color of granules in mycetoma caused by Actinomadura pelleteri:
1. Black
2. Yellow
3. Red
4. Brown

Correct answer: 3. Red

Explanation: Granule colour in case of Actinomycetoma - White - Actinomadura madurae,Nocardia madurae Red - Actinomadura pelleteri